A 70 year aged patient with epistaxis,patient is hypertension with BP=200/100 mm Hg. On examination no active bleeding noted, next step of management is:
1. observation
2. Internal maxillary artery ligation
3. Anterior and posterior nasal pack
4. Anterior nasal pack

Correct answer: 1. observation

Explanation: We do not need any reference to answer this particular question as the answer is hiddeb in the question only. The question itself says that no active bleeding is seen-so no need to do anything just observe the patient and because his BP is 200/100 Hg which is quite high,give him antihypertensive drugs. Ref.Scott Brown 7/e,Vol 1,p 1065